JVP wave with absent y descent and prominent X wave is seen in
1. Restrictive cardiomyopathy
2. Cardiac tamponade
3. Constrictive pericarditis
4. Right ventricular failure

Correct answer: 2. Cardiac tamponade

Explanation: JVP: the y descent is abolished due to an increase in intrapericardial pressure, preventing diastolic filling of the ventricles (cardiac tamponade causes an increase in both central venous pressure and pulmonary artery occlusion pressure). Cyanosis and pulmonary oedema may occur. Ref Davidson 23rd edition pg 334